Complications of Hemithyroidectomy include all of the following except
1. Hypocalcemia
2. Wound hematoma
3. Recurrent laryngeal nerve palsy
4. External branch of superior laryngeal nerve palsy

Correct answer: 1. Hypocalcemia

Explanation: Hypocalcemia doesnot occur in hemithyroidectomy as the parathyroids in contralateral side are fully intact. Source : Sabiston 20th edition Pg :919